All of the following are TRUE regarding Post-cibal syndrome, EXCEPT:
1. Distension of abdomen
2. Managed conservatively
3. Hypermotility of intestine is common
4. Surgery is usually indicated

Correct answer: 4. Surgery is usually indicated

Explanation: Most of the cases of post-cibal or dumping syndrome can also be managed by dietary management or medications which includes anticholinergics agents, antidiarrheal and octreotide. Only a small percentage of patients need surgery. Surgical procedures used to treat dumping syndrome are pyloric reconstruction, take down of gastrojejunostomy, interposition of a 10 cm reversed intestinal segment between the stomach and duodenum, conversion of Billroth II to Billroth I anastomosis and conversion of Roux-en-Y anastomosis. Ref: Schwartz 9/e, Page 942